All of the following findings are associated with optic neuritis except
1. Painful ocular movements
2. Defective color perception
3. Defective depth perception
4. Metamorphopsia

Correct answer: 4. Metamorphopsia

Explanation: Defective depth perception - pulfrichphenomeron.
Metamorphopsia not associated with optic neuritis.